Most common cause of secondary amenorrhea
1. Turner syndrome
2. Pregnancy
3. Mullerian agenesis
4. Kallmann syndrome

Correct answer: 2. Pregnancy

Explanation: Ans. (b) PregnancyRef. Dutta's Obstetricsy Th ed./ 431-438* Amenorrhea is the absence of menstrual bleeding. It is a normal feature in prepubertal, pregnant, and postmenopausal females.* Primary amenorrhea is defined as the absence of menses by age 16 in the presence of normal developmental and sexual characteristics or by age 14 if secondary sexual characteristics have failed to develop* Secondary amenorrhea refers to the absence of menses for 6 months or more in a women with previously regular menstrual cycles.Causes* Primary amenorrhea may result from congenital reproductive tract abnormalities or endocrine disorders that delay the onset of puberty.# Ex: HPA dysfunction, Kallmans syndrome, CNS tumors, turner syndrome, mullerian agenesis etc.* The most common cause of secondary amenorrhea is pregnancy.* Other causes of secondary amenorrhea can be: Tubercular Endometritis, PCOS, Cushings disease, Sheehans syndrome, Uterine synechiae secondary to vigorous curettage.